Kallu, a 24-year-old occasional alcoholic had got a change in behaviour. He has become suspicious that people are trying to conspire against him, though his father states that there is no reason for his fears. He is getting hallucinations of voices commenting on his actions. What is the most probable diagnosis:
1. Delirium tremens
2. Alcohol induced psychosis
3. Schizophrenia
4. Delusional disorder

Correct answer: 3. Schizophrenia

Explanation: Ans. C i.e. Schizophrenia